The drug inactivated in plasma by spontaneous non enzymatic degradation is:
1. Atracurium
2. Vecuronium
3. pipecuronium
4. Pancuronium

Correct answer: 1. Atracurium

Explanation: Atracurium in plasma undergoes spontaneous non enzymatic degradation(Hoffman elimination)in addition to that by cholinesterases. All other given drugs don't undergo Hoffman elimination. From Tripati 7th edition Page no 353